Roopa Devi, a 65-year-old female with ovarian cancer is being treated with cisplatin-based chemotherapy. All of the following are used to limit the toxicity of cisplatin except:
1. N-acetylcysteine
2. Slow rate of infusion
3. Chloride diuresis
4. Amifostine

Correct answer: 1. N-acetylcysteine

Explanation: N-acetylcysteine is used for paracetamol poisoning. Slow intravenous infusion and chloride diuresis along with amifostine can limit cisplatin induced nephrotoxicity.